Epidemic typhus cause & vector -
1. Rickettesiae prowazeki & Louse
2. R. Typhi & mite
3. R. Conorii & tick
4. R. Akari & mite

Correct answer: 1. Rickettesiae prowazeki & Louse

Explanation: Epidemic typhus:- Caused by Rickettsiae prowazeki. Transmission- by infected louse (P.corporis and P. Capitis). The louse gets infected by feeding on an infectious patient during the febrile stage. The organisms multiply in the cells lining the intestinal tract of louse and begin to appear in 3-5 days in the louse feces. Man acquires infection by- 1. Scratching and inoculating himself with the infected louse feces. 2. Crushing the infected louse on the person. 3. Inhaling infected louse/ dust. {Reference: park's textbook of preventive and social medicine, 23rd edition, pg no.301}